Epistaxis in elderly patient is commonest in-
1. Nasapharyngeal carcinoma
2. Foreign body
3. Bleeding disorder
4. Hypertension

Correct answer: 4. Hypertension